Nitrates are not used in -
1. CCF
2. Esophageal spasm
3. Renal colic
4. Cyanide poisoning

Correct answer: 3. Renal colic

Explanation: Ans. is 'c' i.e., Renal colic Uses of nitrates Angina pectoris MI CHF and acute LVF --> nitroglycerine i.v. can be used Act by decreasing preload (LV filling pressure). Biliary colic and esophageal spasm (achalasia cardia) Acute coronary syndrome (unstable angina and non-ST segment elevation Ml). Cyanide poisoning